Mediolateral episiotomy is preferred over midline episiotomy because :
1. Blood loss is less
2. Less chance of third degree extension
3. Easier to repair
4. None of the above

Correct answer: 2. Less chance of third degree extension

Explanation: Less chance of third degree extension